A 57-year-old woman presents to the hospital with a 2-hour history of retrosternal chest pain and dyspnea. Her electrocardiogram (ECG) reveals an acute myocardial infarction pattern. Which of the following ECG patterns is consistent with that interpretation?
1. tall P waves
2. prominent U waves
3. small QRS complex
4. elevated ST segments

Correct answer: 4. elevated ST segments

Explanation: Early ischemic changes are tall, peaked T waves that then develop into inverted T waves. Elevated ST segments and Q waves also occur early.